All of the following enzymes are involved in oxidation-reduction reactions, except
1. Dehydrogenases
2. Hydrolases
3. Oxygenases
4. Peroxidases

Correct answer: 2. Hydrolases

Explanation: This group of enzymes will catalyze the oxidation of one substrate with simultaneous reduction of another substrate or coenzyme. This may be represented as AH2 + B -------------- A + BH2 for example, Alcohol + NAD+ ----- Aldehyde + NADH + H+ The enzyme is Alcohol dehydrogenase; IUB name is Alcohol-NAD-oxidoreductase; Code number is EC.1.1.1.1. Oxidoreductases may also oxidise substrates by adding oxygen, e.g. oxidases, oxygenases, and dehydrogenasesRef: DM Vasudevan, Page no: 41